Which of the following is not true for binocular single vision ?
1. Provides stereoscopic vision
2. Is present since birth
3. Is the cause of diplopia in paralytic squint
4. Fusion is its second grade

Correct answer: 2. Is present since birth

Explanation: Ans. Is present since birth